Lardaceous spleen is a feature of:
1. Thalassemia
2. Amyloidosis
3. Sickle cell anemia
4. Malaria

Correct answer: 2. Amyloidosis

Explanation: Ans. B: AmyloidosisSpleen is more frequently the seat of amyloidos is than any other organ, and that it appears in a majority of cases to be the organ primarily affected.There are two forms of amyloid disease, called respectively the Sago form and the diffuse form or waxy spleen, to which a third or combined form may be added.In the first the Malpighian bodies are mainly engaged; in the second the pulp.On section of the spleen of sago type, instead of the normal small Malpighian bodies, transparent glancing areas which have been very aptly compared to grains of boiled sago. These are dotted over the surface in great profusion. On applying a solution of iodine the affected areas stand out as brown spots, which become of a deeper colour on adding dilute sulphuric acid.The diffuse amyloid spleen presents much greater enlargement than the sago form. It is in the highest degree hard, heavy, and the edges rounded.On section The tissue seems homogeneous and inelastic, and of a dark translucent appearance, which has been compared to that of wax or bacon, hence the names Waxy and Lardaceous spleen."Kidney is the MC involved organ in amyloidosis".